Transport media for cholera -
1. VR medium
2. LZ medium
3. Bile salt agar
4. TCBS

Correct answer: 1. VR medium

Explanation: Ans. is 'a' i.e., VR medium